Which of the following is not a test for amino acids?
1. Biuret test
2. Xanthoproteic reaction
3. Ninhydrin test
4. Molisch's test

Correct answer: 4. Molisch's test

Explanation: Biuret test, ninhydrin test, and xanthoproteic test are tests of proteins. Molisch test is that for carbohydrates.Ref: Textbook of medical biochemistry, MN Chatterji, 8th edition, page no: 80